The lymphocytic and histiocytic variant of Reed- Sternberg cell is seen in -
1. Follicular center lymphoma
2. Lymphocyte depleted Hodkin's disease
3. Nodular sclerosis Hodkin's disease
4. Lymphocyte predominant Hodkin's disease

Correct answer: 4. Lymphocyte predominant Hodkin's disease

Explanation: Ans, is 'd' i.e., Lymphocyte predominant Hodgkins disease Note, the question is about lymphohistiocytic variant of Reed-Sternberg cells (not the classical Reed- Sternberg cells).In lymphocytic predominant type of Hodgkins lymphoma, typical Reed-Sternberg cells are extremely difficult to find.Lymphocyte predominant Hodgkin's lymphoma is characterized by the presence of lymphohistiocytic variant of Reed Sternberg cells.These lymphohistiocytic variant have delicate multilobed nucleus resembling a popcorn Kernel "popcorn cell".Unique feature of lymphohistiocytic variant.In contrast to other forms of Hodgkin's lymphoma, the L&H variant express B-cell marker e.g. CD-20 and the germinal centre specific transcription factor BCL 6.The classical form of Hodgkins lymphoma are characterized by the presence of distinctive giant neoplastic cells called the Reed-Sternberg cells.Diagnostic Reed-sternberg cells are seen inNodular sclerosisMixed cellularityLymphocyte richLymphocyte depletionCharacteristic of Diagnostic Reed Sternberg cellsLarge cellsHave multiple nuclei or single nucleus with multiple lobesEach lobe contains large inclusion like nucleolus about the size of a small lymphocyte.Variants of Reed-Sternberg cellsSubtypes of Hodgkins associatedMononuclear variantMixed cellularity Lymphocyte richLacunar variant (folded or multilobe nuclei, pale cytoplasm nucleus situated in empty hole Lacunae)NodularL&H variants (delicate multilobed nucleus resembling) "popcorn cell"Lymphocytic predominant